According to International Health regulation (IHR) Act, a pregnant woman, with the following duration of pregnancy (in weeks), can’t travel by air to other country
1. 20
2. 28
3. 36
4. 32

Correct answer: 3. 36